Which of the following is not complication of total parenteral nutrition?
1. Hyperammonemia
2. Neutrophil dysfunction
3. Hyperphosphatemia
4. Hypercholesterolemia

Correct answer: 3. Hyperphosphatemia

Explanation: Total parental nutrition leads to hypophosphatemia not hyperphosphatemia.